In uveitis, site of keratic precipitate is:
1. Corneal endothelium
2. Lens anterior part
3. Lens posterior part
4. Corneal stroma

Correct answer: 1. Corneal endothelium

Explanation: Ant uveitis m/c - idiopathic 2n/m/c - ankylosing spondylitis Sign - 1. Circumciliary congestion 2. Cells - wbc, neutrophilic in a/c (earliest / hallmark) 3. Flare - protein deposition in aqueos humor 4. Keratic precipitate - neutrophils & lymphocytes in cornea 5. Iris nodules Koepp's - on pupillary margin Busaccas - surface of iris 6. Synechiae Ant - glaucoma Post - cataract Small pupil + low I.P Rx - topical steroid (D/O/C) Cycloplegic